Which drug does not need dose adjustment in a patient with creatinine clearance of
1. Ciprofloxacin
2. Sparfloxacin
3. Lomefloxacin
4. Trovafloxacin

Correct answer: 4. Trovafloxacin

Explanation: Dose adjustment is not required for Trovafloxacin, Moxifloxacin, Pefloxacin and Nalidixic acid for patient with decreased creatinine clearence. Trovafloxacin will cause liver damage and increase in liver enzymes. So it is contraindicated in patients with active liver disease. Ref: Sherwood L. Gorbach, John G. Balett, Neil R. Blacklo (2004), Chapter 26, "Quinolones", "Infectious Diesases", 3rd Edition, Lippincott Publications, USA, Page 253 ; Kalzung, 9th Edition, Page 779.